Best drug for chronic gout in patient with renal impairment is:
1. Naproxen
2. Probenecid
3. Allopurinol
4. Sulfinpyrazone

Correct answer: 3. Allopurinol

Explanation: Ans. (C) Allopurinol(Ref: KDT 8th/e p217)*NSAIDs like naproxen have no role in chronic gout*Uricosuric drugs like probenecid and sulfinpyrazone are ineffective in the presence of renal insufficiency*Allopurinol is drug of choice for most cases of chronic gout.